Velocity of blood flow is inversely proportional to:
1. Square of radius
2. Compliance of blood vessel
3. Cardiac output
4. Stroke volume

Correct answer: 1. Square of radius

Explanation: Ans: a (Square of radius.) Ref: Ganong, 22nd ed, p. 584Velocity of blood flow is inversely proportional to square of radius.Velocity =flow rateCross sectional area=Q/ACross sectional area (Tube)=p r2i.e., velocity=Q/pr2 =velocity a1/r2Some guys are confused because they substituted Poise Ville's formula in the above question.According to Poise Ville -Hagen formulaBut this DP is the change in pressure= 1/2 pV2 (where p is the density and V is the velocity.)Substituting 1/2 pV2 for pressure DP we arrive at the same conclusion that, velocity al/ r2